Hormone necessary for water and sodium balance
1. Progesterone
2. Cortisol
3. Estrogen
4. Aldosterone

Correct answer: 4. Aldosterone

Explanation: Ans: d (Aldosterone)Ref: Vasudevan & Sreekumari, 6th edi., Pg. 357Aldosterone is secreted by zona glomerulosa of the adrenal cortex. It regulates sodium-potasium exchange and sodium-hydrogen exchange at the renal tubules.The net effect is the sodium retention